Specific inhibitor of alcohol dehydrogenase -
1. Disulfiram
2. Fomepizole
3. Methyl alcohol
4. Zolpidem

Correct answer: 2. Fomepizole

Explanation: Ans. is 'b' i.e., Fomepizole o Fomepizole (4-methylpyrazole) is a specific inhibitor of alcohol dehydrogenase and the drug of choice for methanol poisoning.Noteo Disulfiram also inhibits alcohol dehydrogenase, but it is non-specific inhibitor. Its main action is due to inhibition of aldehyde dehydrogenase.